Single file pattern is seen in breast cancer type?
1. Intraductal
2. Infiltrating lobular
3. Infiltrating ductular
4. All

Correct answer: 2. Infiltrating lobular

Explanation: Ans. is 'b' i.e. Infiltrating lobular "The hisological hallmark of lobular carcinomas is the pattern of single infiltrating tumor cells, often only one cell in width (in the form of a single file) or in loose clusters or sheets."